Moures sign is seen in -
1. Carcinoma
2. Appendicitis
3. Varicose vein
4. Pancreatitis

Correct answer: 1. Carcinoma

Explanation: Ans. is 'a' i.e.,Carcinoma"In normal persons, a click is felt when larynx is moved from side to side over vertebral column, this is called laryngeal click (post cricoid crepitus) It is absent in post cricoid carcinoma -- Moures sign